Histamine causes all except -
1. Arteriolar dilatation
2. Increased permeability of venules
3. Constriction of large arteries
4. Platelet aggregation

Correct answer: 4. Platelet aggregation

Explanation: Histamine causes arteriolar dilation rapidly increases vascular permeability by inducing venular endothelial contraction formation of inter-endothelial gaps endothelial activation ref robbins pathology 9thed page 45